Which statement is FALSE regarding specific learning disorders (SLD)
1. The overall estimates of the prevalence of SLD range from 3-1096
2. It is a type of neurodevelopmental dysfunctions
3. Terms as dysgraphia or dyscalculia had been revolutionized
4. Includes students did well in academic testing but not in intelligence testing

Correct answer: 4. Includes students did well in academic testing but not in intelligence testing

Explanation: Specific developmental disorders of scholastic Skills (specific learning disorders) includes reading disorder, spelling disorder, disorder of arithmetical skills, and mixed disorder of Scholastic Skills. Dyslexia (reading disorder) is included in lCD-10 in a separate category of symbolic dysfunction. The terms, Dyscalculia (mathematics disorder), and Dysgraphia (written language disorder) are also used by investigators and clinicians, but their inclusion in diagnostic classihcation systems has been inconsistent and a source of some disagreement among experts. A student exhibiting a significant discrepancy between scores on tests of intelligence and tests of academic achievement could be classified as a student with an SLD, and would subsequently be eligible for Special Education Services i.e. those student may did very well in IQ testing but not in academic achievement or tests. Ref:- Nelson's textbook of paediatrics; pg num:- 672